All are component of urogenital diaphragm except -
1. Left transverse perenii profundus
2. Right transverse perenii profundus
3. Sphincter urethrae
4. Transverse perenii superficialis

Correct answer: 4. Transverse perenii superficialis

Explanation: Urogenital diaphragm
-        Muscles

Sphincter urethrae
Deep transverse perinei (Transverse perinei profundus)

-        Fascia

Superior fascia of urogenital diaphragm
Inferior fascia of urogenital diaphragm